Which of the following drugs is LEAST effective luminal amoebicide?
1. Metronidazole
2. Diloxanide furoate
3. Iodoquinol
4. Paromomycin

Correct answer: 1. Metronidazole

Explanation: (Ref: KDT 6/e p798, 799) Metronidazole is least effective luminal amoebicide because it is almost completely absorbed in small intestine and little drug is available to act in the colon.